During a preoperative assessment of airway, only hard palate is seen. What would be the grade as per the modified Mallampati test?
1. Grade I
2. Grade II
3. Grade III
4. Grade IV

Correct answer: 4. Grade IV

Explanation: Modified Mallampati test for airway assessment Grade 1 Fauces, pillars, soft palate and uvula seen Grade 2 Fauces, soft palate with some part of uvula seen Grade 3 Soft palate seen Grade 4 Hard palate only seen Bailey and Love pg: 262